In Sodomy, passive agent is labelled as catamite when he/she is?
1. Yong child
2. Women
3. Elderly
4. Any of the above

Correct answer: 1. Yong child

Explanation: Ans. is 'a' i.e., Yong childSodomy is sexual intercourse through anus. It is of two types : Homosexual and Heterosexual.In Homosexual, it is done by a male on another male. Heterosexual sodomy is anal intercourse with a women.The person who does the act is known as active agent and the person, on whom the act is done, is known as passive agent.If the passive agent is adult/elderly the act is known as Gerontophilia. If the passive agent in sodomy is a child , act is called Paederasty, the passive agent is labelled as catamite, and the active agent is known as Paedophile.